"Libman" Sacs Endocarditis is seen with:
1. SLE
2. Fungal endocarditis
3. Rheumatic heart disease
4. Cardiac Amyloidosis

Correct answer: 1. SLE

Explanation: SLE